Angle kappa is formed between which axes?
1. Anatomical and visual axis
2. Anatomical and horizontal axis
3. Between two visual axes
4. Visual axis and vertical axis

Correct answer: 1. Anatomical and visual axis

Explanation: Ans. (a) Anatomical and visual axisRef: Kanski's 7/e, chapter 18